An unconscious patient is brought to the Emergency Department with suspected cervical cord injury. Which of the following clinical signs is not suggestive of cervical spinal cord injury.
1. Flaccidity
2. Increased Rectal sphincter Tone
3. Diaphragmatic Breathing
4. Priapism

Correct answer: 2. Increased Rectal sphincter Tone

Explanation: Answer is B (Increased Rectal sphincter Tone): Cervical cord injury is suggested by a decrease in tone of the Rectal Sphincter and not by an increased tone of the rectal sphincter Findings that indicate a cervical cord injury (in an unconscious patient) Flaccid Paralysis with Areflexia (Spinal shock) Flaccid Rectal sphincter or decreased tone of the rectal sphincter Hypotension with bradvcardia (Neurogenic shock) Diaphragmatic Breathing Priapism (Autonomic transaction) Ability to flex but not extend the elbow Response on eliciting painful stimuli above the clavicle but not below the clavicle